Features of tentorial herniation include
1. Vomiting
2. Deterioration of consciousness
3. Dilated pupil
4. All the above

Correct answer: 4. All the above

Explanation: . *trans tentorial herniation of the uncus may compress the ipsilateral 3rd nerve and usually involves the pupillary fibres first ,causing a dilated pupil :however ,a false localised contralateral 3rd nerve palsy may also occur ,perhaps due to extrinsic compression by the tentorial margin.vomiting,coma,bradycardia and arterial hypertension are later features. Ref Harrison20th edition pg 2345